Drug that should not be given with Apomorphine is?
1. Dopamine agonist
2. Spironolactone
3. Ondansetron
4. Aspirin

Correct answer: 3. Ondansetron

Explanation: ANSWER: (C) OndansetronREF: Goodman Gillman 11th ed p. 536Based upon reports of profound hypotension and loss of consciousness when apomorphine was introduced with ondansetron. Due to the risk of dangerously low blood pressure (hypotension) and loss of consciousness, ondansetron and apomorphine should not be combined.Ondansetron: (serotonin 5-HT3 receptor antagonist)Primary drugs used to treat and prevent chemotherapy-induced nausea and vomitingOndansetron is also effective in controlling post-operative nausea and vomiting (PONV) and post-radiation nausea and vomiting, and is a possible therapy for nausea and vomiting due to acute or chronic medical illness or acute gastroenteritis.A 2006 double-blind, randomized controlled trial indicated that ondansetron may have value in the treatment of schizophrenia, as an adjunct to haloperidol.Ondansetron lowers the cravings for alcohol, especially in early-onset alcoholics.Ondansetron blocks the 5-HT3 receptor in the enteric nervous system, and thereby reduces colonic contractions, sensory perception, and motility. A large number of drugs in this category, 5-HT3 antagonist, have been shown to have this effect, which positively impacts irritable bowel syndrome with diarrhea (IBS-D)Ondansetron was found to be as effective as pethidine (meperidine, Demerol) when given as a single IV dose before anesthesia.